Vocal cord abductors is:
1. Lateral cricoarytenoid
2. Posterior cricoarytenoid
3. CricothyroidThyroarytenoid
4. Thyroarytenoid

Correct answer: 2. Posterior cricoarytenoid

Explanation: Posterior cricoarytenoid